True about Apoptosis are all except-
1. Inflammation is present
2. Chromosomal breakage
3. Clumping of chromatin
4. Cell shrinkage

Correct answer: 1. Inflammation is present

Explanation: Ans. is 'a' i.e.,, Inflammation is present The two most striking features of apoptosis are: In contrast to necrosis it does not elicit inflammation Considerable apoptosis may occur in tissues before it becomes apparent in histological section (because it occurs very rapidly).